Drug used for HER-2/neu positive breast cancer
1. Imitanib
2. Trastuzumab
3. Erlotinib
4. Cetuximab

Correct answer: 2. Trastuzumab

Explanation: Answer- B. TrastuzumabHerceptin (Trastuzumab)Herceptin is a humanized antibody and is used in breast cancers which are HER2 positive.HER2 stands for - human epidermal growth factor receptor.HER2 gene produces HER2 protein also called HER2 receptor.In HER2 (+ve) breast cancer the cancer cell have abnormally high number of HER2 genes per cell when this happens too much HER2 protein appears on the surface of these cancer cells.Currently transtuzumab is approved for HER2/neu overexpressing metastatic breast cancer in combination with paclitaxel as initial treatment or as monotherapy following chemotherapy.